Body content of thiamine is:
1. 5 g
2. 6 g
3. 20 g
4. 30 g

Correct answer: 4. 30 g

Explanation: Body content of thiamine is placed at 30 mg and if more than this is ingested, it is merely lost in urine. Ref: Park 22nd edition, page 572